A 40 years old female presents with fever, fatigue, diffuse painful swelling in the midline of the neck. FNAC revealed epitheloid cells & giant cells. What is the most likely diagnosis?
1. Acute thyroiditis
2. Subacute thyroiditis
3. Tubercular lymphadenitis
4. Hashimoto's thyroiditis

Correct answer: 2. Subacute thyroiditis

Explanation: Subacute Thyroiditis Aka DE QUERVAIN'S thyroiditis Aka Viral thyroiditis Aka Granulomatous thyroiditis Aka Giant cell thyroiditis Characterized byUpper respiratory tract infection caused by virus| leading to Granulomatous inflammation | leading toFollicular destruction & giant cell formation Associated with HLA B-35 NSAIDS to control inflammation